Maximum acceptance of the graft is seen when the graft is from
1. Father
2. Mother
3. Brother
4. Identical Twin

Correct answer: 4. Identical Twin

Explanation: Isograft: Transplant from a genetically identical donor, such as an identical twin Order of acceptance of graft tissue Autograft> Isograft > Homograft(Allograft) > Heterograft (Xenograft) Ref: Schwartz's principle of surgery 10th edition Pgno :266